Shock lung is characterized by
1. Alveolar proteinosis
2. Bronchiolitis obliterans
3. Diffuse pulmonary haemorrhage
4. Diffuse alveolar damage

Correct answer: 4. Diffuse alveolar damage

Explanation: ref Robbins 7/r p715,9/e p134 Harrison 17/e p1680_1681 The cellular and tissue effects of shock are essentially those of hypoxic injury (Chapter 1) and are caused by a combina- tion of hypoperfusion and microvascular thrombosis. Although any organ can be affected, brain, heart, kidneys, adrenals, and gastrointestinal tract are most commonly involved. Fibrin thrombi can form in any tissue but typically are most readily visualized in kidney glomeruli. Adrenal cor- tical cell lipid depletion is akin to that seen in all forms of stress and reflects increased utilization of stored lipids for steroid synthesis. While the lungs are resistant to hypoxic injury in hypovolemic shock occurring after hemorrhage, sepsis or trauma can precipitate diffuse alveolar damage (Chapter 12), leading to so-called shock lung.